Branch of facial nerve conveying secretomotor fibers to the lacrimal gland is?
1. Chorda tympani
2. Deep petrosal nerve
3. Greater petrosal nerve
4. Lacrimal nerve

Correct answer: 3. Greater petrosal nerve

Explanation: The greater (superficial) petrosal nerve carries parasympathetic preganglionic fibers from the facial nerve. The greater petrosal nerve continues as the nerve of the pterygoid canal and ultimately synapses with the pterygopalatine ganglion whose parasympathetic postganglionic fibers synapse with the lacrimal gland and the mucosal glands of the nose, palate, and pharynx. Reference: Chaurasia; 6th ed.